Irreversible steps of Glycolysis are catalyzed by:
1. Hexokinase, Phospho Glycerate Kinase, Pyruvate Kinase
2. Pyruvate Kinase, Fructose 1,6 Bisphosphatase, Phosphofructokinase
3. Hexokinase,  Phosphofructokinase,  Pyruvate Kinase
4. Glucokinase, Pyruvate Kinase, Glyceraldehyde 3 Phosphate Dehydrogenase

Correct answer: 3. Hexokinase,  Phosphofructokinase,  Pyruvate Kinase

Explanation: Irreversible Steps of Glycolysis

Hexokinase
Phosphofructokinase
Pyruvate Kinase.

Note-All the Kinases are irreversible except 1,3 Bisphosphoglyceratekinase which is reversible.
Haper 30th edition Pg-170